Which of the following is not a feature of biologic requirement of tooth preparation
1. Conservation of tooth structure
2. Avoidance of overcontouring
3. Subgingival margins
4. Harmonious occlusion

Correct answer: 3. Subgingival margins